All of the following factors tend to increase the volume of distribution of a drug except
1. High plasma protein binding
2. Low ionization at physiological pH values
3. High lipid solubility
4. High tissue binding

Correct answer: 1. High plasma protein binding

Explanation: Ref - katzung10/e p34,35 If a drug is highly bound to plazma proteins it is more likely to statin blood. Thus its Vd will be less. Low ionizition favours the distribution of drug because unionized molecules can cross the membrane of blood vessel and tissue.